"Strawberry cervix" is feature of:
1. Vaginal candidiasis
2. HSV infection
3. Bacterial vaginosis
4. Trichomonas vaginitis

Correct answer: 4. Trichomonas vaginitis

Explanation: Ans. D. Trichomonas vaginitis. (Ref Textbook of Gynaecology by D C Dutta 6th/pg. 6850)Textbook of Gynaecology by D C Dutta 5th/pg. 160....under the heading "TRICHOMONAS VAGINITIS99; Subheading "On examination - point (c)99:"In trichomonas vaginitis, vaginal examination may be painful. The vaginal walls become red and inflamed with multiple punctate haemorrhagic spots. Similar spots are also found over the mucosa of the portio vaginalis part of cervix on the speculum examination giving the appearance of 'strawberry9. Vaginal trichomoniasis is the most common and vital cause of vaginitis in the childbearing period".Differential diagnose of vaginal candidiasis TricomoniasisCondidiasisBacterial vaginosisSexual transmissionYesVery rarelyOftenSymptoms Relation to mensesPostmenstrualPremenstrualNoneVulvar irritationMild to markedMild to markedAbsent to mildDysuriaInternal and externalExternal OdorSometimesAbsentFishy, amine-likeSigns Labial erythemaVariableVariableNoSatellite lesionsNoYesNoVaginal tendernessYesYesNoAdnexal tendernessOccasionallyNoNoDischarge ConsistencyFrothySometimes curdyHomogenous, frothyColourYellow-green 25%WhiteGray, whiteAdherent toNoYesYesVaginal walls pH>4.7<4.5>4.7Microscopy Epithelial cellsNormalNormalStudded with coccobacilli (clue cells)PMNIncreasedVariableNot increasedBacteriaGram+ve rodsGram +ve rodsGram-variable coccobacilliPathogensTrichomonadsYeasts or peudohyphaecoccobacilli and Short motile rodsAdopted from: Hovpt Er, Rein MF. Sexually transmitted diseases and obstetric and gynaecologic infections In: Reese RE,Betts RF. (eds) A practical approach to infectious diseases. 6th ed. Boston: Little Brown, 2003: 541-87.